Corneal sensation is lost in –
1. Herpes simplex
2. Conjunctivitis
3. Fungal infection
4. Trachoma

Correct answer: 1. Herpes simplex

Explanation: There is marked diminution of corneal sensations in herpetic dendritic ulcer.